The following are the risk factors for inguinal hernia:
1. Family history of inguinal hernia
2. Weight lifter
3. COPD
4. All

Correct answer: 4. All

Explanation: Ans. is ' a ' , ' b ' , ' c Family history of inguinal hernia, Weight lifter, COPD 2 factors are responsible for causing any hernia:a. weakness of abdominal muscleb. chronically increased intraabdominal pressureWeakness of abdominal muscles1. Patent processus vaginalis2. Patent canal of Nuck causes indirect inguinal hernia in females3. Connective tissue disorders like Ehlers Danlos syndrome4. Congenital condition like Exstrophy of bladder, Prune belly syndrome5. Advancing age and chronic debilitating diseasesIncreased abdominal pressureMarked obesityAbdominal strain from heavy exercise or liftingChronic cough in bronchitis, tuberculosis etc. (Whoopic cough in children)Chronic constipation with straining at stoolEnlarged prostate with straining at micturitionPregnancyCirrhosis with ascites8.Chronic ambulatory peritoneal dialysis9.Intraabdominal tumors10. Chronically enlarged pelvic organsOther risk factorsFamily history -[Ref: - Indirect inguinals are more common in boysPreterm babiesHistory of hernia - h/o of hernia on one side is risk factor for the other side.